Investigation of choice for detection and characterization of interstitial lung disease is
1. MRI
2. Chest x-ray
3. Venlaon perfusion scan
4. High resoluon CT

Correct answer: 4. High resoluon CT

Explanation: High Resoluon CT (HRCT) is investigation of choice for interstitial lung disease as it can delineate the lung parenchyma upto the level of secondary pulmonary lobule.